Helitrope rash is seen in:
1. SLE
2. Lichen Planus
3. Pitryiasis alba
4. Dermatomyositis

Correct answer: 4. Dermatomyositis

Explanation: Dermatomyositis